Modality of choice for screening of bony metastases?
1. Plain radiograph
2. CT
3. MRI
4. Bone scan

Correct answer: 4. Bone scan

Explanation: Ans DBone metastases can be seen at any site which maybe even far away from the primary as they spread by hematogenous route. So for their screening a modality which includes entire skeletal survey is employed - hence Bone scan is Best.